The most common site of a benign (peptic) gastric ulcer is -
1. Upper third of lesser curvature
2. Greater curvature
3. Pyloric antrum
4. Lesser curvature near incisura angularis

Correct answer: 4. Lesser curvature near incisura angularis